First step of treatment of a person with FAP family history is
1. colonoscopy
2. Total colectomy
3. Gene testing
4. Frozen section

Correct answer: 3. Gene testing

Explanation: Gene testing is performed first. If positive screening begins from 10 years of age.